Not true about N. gonorrhoeae:
1. Exclusive human pathogen
2. Acute urethritis is MC manifestation in males
3. Highly sensitive to Penicillin
4. Some strains may cause disseminated disease

Correct answer: 3. Highly sensitive to Penicillin

Explanation: Highly sensitive to Penicillin